Resting pressure in the anal canal is because of
1. External sphincter
2. Internal sphincter
3. Anorectal ring
4. Conjoint longitudinal coat

Correct answer: 2. Internal sphincter

Explanation: Anal manometry has been used in the study of patients who have fecal incontinence as an attempt to quantify anal sphincter function. Typical basic parameters are resting pressure and squeeze pressure. Resting pressure denotes resting tonicity and thus is used as an index parameter for internal anal sphincter which is in charge of that tonicity, while squeeze pressure denotes the strength of voluntary contraction and is used for contractility of external anal sphincter. But resting pressure is usually regarded more reliable as an index of continence function judging from physical properties during metric procedure because squeeze pressure depends more on patient's subjective effort with resultant more variation. Resting pressure has, however, a restriction that it represents cross sectional status of the anal canal without taking into consideration its three dimensional structure. Resting pressure gradient (RPG) of the anal canal is devised as one of the advanced parameters to make up for such a restriction. The RPG is given by the ratio of pressure difference between maximum resting pressure and basal resting pressure to interval distance between their levels. Therefore, it can be said that it has 2 components as factors of determination, which are pressure and length factor, respectively. Ref - pubmed.com